Predisposing factors for suicide are all except
1. Depression
2. Drug abuse
3. Female sex
4. Living single person

Correct answer: 3. Female sex

Explanation: Suicidal risk: Important factors a) Presence of marked hopelessness b) Male: age>40, unmarried, divorced /widow c) Written or verbal communication of suicidal intent and /or plan d) Early stage of depression e) Recovery from depression f) Period of three months from recovery (Ref: a short textbook of psychiatry, Niraj Ahuja, 7th edition, pg no72)